A Person hearing two different tones in left and right ear when presented with a single tone. This condition is called
1. Monoaural diplacusis
2. Binaural diplacusis
3. Tinnitus
4. Increased sensitivity to sound

Correct answer: 2. Binaural diplacusis

Explanation: Ans. 'b' i.e., Binaural diplacusis Monaural diplacusis:- Inmonauraldiplacusis,alistenerhearstwotoneswhenasingletoneispresentedtoasingle ear, i.e. one ear hears two different tones when presented one.Binaural diplacusis :- In binaural diplacusis, a listener hears two different tones in right & left ear when a single tone is presented to both ears.Both monoaural and binaural diplacusis are caused by inhomogeneities in the cochlea that also give rise to spontaneous otoacoustic emissions.